A young lady present with white lacy lesions in oral cavity and her proximal nail fold has extended onto the nail bed. What is the likely diagnosis -
1. Psoriasis
2. Geographic tongue
3. Lichen planus
4. Candidiasis

Correct answer: 3. Lichen planus

Explanation: In lichen planus there is mucosal involvement - White, reticulated, Lacey pattern on the buccal mucosal, tongue and gingiva. Nail changes include thinning of nail plate, trachyonychia (same paper nails) , tenting of nail plates(pup tent sign) and pterygium( proximal nail fold is prolonged on to the nail bed , splitting and destroying nail plate. IADVL textbook of dermatology , page 1070